Which of the following is the most rare complication of acute pancreatitis?
1. Hypotension
2. Jaundice
3. Retinopathy
4. Hypertriglyceridemia

Correct answer: 3. Retinopathy

Explanation: Due to blockage of the posterior retinal artery by aggregated granulocytes, hemorrhage and cotton-wool spots are seen in the optic disk and macula in a patient with acute pancreatitis. Such an unusual complication of acute pancreatitis is known as Purtscher's retinopathy, which is characterized by sudden and severe loss of vision. Hypertriglyceridemia is seen in 15% of the patients with acute pancreatitis. Ref: Friedman L.S. (2013). Chapter 16. Liver, Biliary Tract, & Pancreas Disorders. In M.A. Papadakis, S.J. McPhee, M.W. Rabow (Eds), CURRENT Medical Diagnosis & Treatment 2013.